The MOST frequent genetic aberration associated with pancreatic malignancy is:
1. KRAS mutation
2. c-Src
3. SMAD4
4. IGF-1R

Correct answer: 1. KRAS mutation

Explanation: The most frequent genetic aberrations in pancreatic cancer is KRAS mutations seen in 60-75% of pancreatic cancers. The tumor-suppressor genes p16, p53, and SMAD4 are inactivated. SMAD4 gene is deleted in 55% of pancreatic tumors. SMAD4 gene inactivation is associated with poorer survival. Overexpression and/or aberrant activation of c-Src is also observed. Ref: Harrison, Edition -18, Page-787.